Regarding respiratory viruses all are true except ?
1. RSV is the most common cause of bronchiolitis in infants
2. Mumps causes septic meningitis in adult
3. Measles causes SSPE
4. EBV causes pleuritis

Correct answer: 2. Mumps causes septic meningitis in adult

Explanation: Ans. is 'b' i.e., Mumps causes septic meningitis in adult . There is no need to read any text book for this question, just read option 'b' carefully. . Viruses cause aseptic meningitis (not septic). . Septic meningitis is caused by bacteria. . Aseptic menigitis and orchitis are the most common complications of mumps in adult. About other options: . RSV is the most common cause of bronchiolitis. . SSPE is one of the neurological complication of measles. . Pneumonia with pleural effusion can be caused by EBV.